Cardiac glycosides are obtained from following plant source:
1. Rauwolfia serpentina.
2. Strophanthus gratus.
3. Ricinus communis.
4. Atropa belladonna.

Correct answer: 2. Strophanthus gratus.

Explanation: The following are obtained from Rauwolfia serpentina--Reserpine. Strophanthus gratus--Strophanthin-G (Ouabain) A cardiac glycoside. Ricinus communis--Castor oil. Atropa belladonna--Atropine